22 yr old woman underwent routine antenatal tests at 14 weeks pregnancy. Her urine routine showed leucocyte esterase positive and a subsequent culture showed E.coli > 100,000 organisms /mL. Patient has no urinary symptoms. Which of the following is false about her condition ?
1. Asymptomatic bacteriuria (ASB) in pregnancy is associated with Preterm delivery and low birth weight.
2. There is an increased incidence of ASB in women with sickle cell trait.
3. No treatment is warranted as patient is asymptomatic
4. 25 % with ASB will subsequently develop an acute symptomatic urinary infection during the pregnancy if not treated

Correct answer: 3. No treatment is warranted as patient is asymptomatic

Explanation: ASYMPTOMATIC BACTERIURIA Incidence is 2-7% Increased incidence of ASB in women with sickle cell trait and diabetics All pregnant patients are screened and treated for asymptomatic bacteriuria at the initial prenatal visit due to the risk of pyelonephritis, preterm birth and low birth weight associated with untreated asymptomatic bacteriuria. An initial positive urine culture result done as a part of prenatal care should prompt treatment. After this, less than 1 percent of women develop a urinary tract infection 25 % female with ASB will subsequently develop an acute symptomatic urinary infection during the pregnancy if ASB is not treated Empirical treatment: Tab. Nitrofurantoin 100 mg BD for 7 days